Dissecting haematoma is a clinical complication occurring in -
1. Turner's syndrome
2. Klinefelter's syndrome
3. Down's syndrome
4. Marfan syndrome

Correct answer: 4. Marfan syndrome